Location of root canals is best done by endodontic
1. Probe
2. Explorer
3. Ultrasonic system
4. File

Correct answer: 2. Explorer